Hemiparesis is not seen with?
1. Posterior inferior cerebellar artery stroke
2. Middle cerebral artery stroke
3. Posterior cerebral artery stroke
4. Anterior spinal artery stroke

Correct answer: 1. Posterior inferior cerebellar artery stroke

Explanation: PICA supplies the lateral part of the medulla and spares the corticospinal pathway. Hence no hemiparesis is seen. MCA occlusion will damage motor cortex leading to hemiplegia. PCA occlusion will damage corticospinal pathway traveling midbrain. Corticospinal pathway traverses the medial part of medulla which is supplied by the anterior spinal artery.